All of the following antifungal agents act by altering cell membrane permeability, except:
1. Flucoanozole
2. Amphotericin-B
3. Terbinfine
4. Griseofulvin

Correct answer: 4. Griseofulvin

Explanation: Griseofulvin acts by disruption of the mitotic spindle and inhibition of fungal mitosis. Drugs acting on Fungi: Alter cell membrane permeability: Azoles, Polyenes, Terbinafine Block nucleic acid synthesis: Flycytosine Disrupt microtubule functions: Griseofulvin Ref: KDT essentials 7th edition